In idiopathic polymyositis, following are seen except:
1. Ocular muscles are not involved
2. Pharyngeal muscles involved
3. Cutaneous manifestations
4. Proximal limb muscles invariably involved

Correct answer: 3. Cutaneous manifestations

Explanation: Answer is C (Cutaneous manifestation): Cutaneous manifestations (Rash) are a feature of Dermatomyositis and are characteristically absent in Polymyositis. Polymyositis Dermatomyositis Age of onset > 18 yr Adulthood and childhood Familial associations No No Extramuscular manifestations Yes Yes Associated conditions Connective tissue diseases Systemic autoimmune diseases Yes Frequent Scleroderma and mixed connective tissue disease (overlap syndromes) Infrequent Malignancy Viruses Drugs Parasites and bacteria No Yes Yes Yes Yes, in upto 15% of cases Unproven Yes, rarely No Pathogenic mechanism T cell Immune complex Skin Rash/ Dermatitis No Yes Pharyngeal muscle involvement Yes Yes Proximal muscle involvement Yes Yes Ocular muscle involvement No No Facial muscle involvement No No